Cataplexy is seen in -
1. Catatonic schizophrenia
2. Narcolepsy
3. Chronic depression
4. Neuro - malignant syndrome

Correct answer: 2. Narcolepsy

Explanation: Cataplexy is the most common accessory symptom of Narcolepsy.